Which among the following is a tetra cyclic antidepressant
1. Desipramine
2. Imipramine
3. Fluoxetine
4. Amoxapine

Correct answer: 4. Amoxapine

Explanation: Ans: d (Amoxapine)Ref: Kaplan & Sadock's Synopsis of Psychiatry: Behavioral Sciences/Clinical Psychiatry, 10th ed, Pg. 1109Tertiary tricyclic drugsAmitriptylineClomipramineDoxepin ImipramineTr imipramineSecondary tricyclic drugsDesipramine Nortriptyline ProtriptylineTetracyclic drugsAmoxapine Moprotiline